The best prognosis in carcinoma stomach is with
1. Superficial spreading type
2. Ulcerative type
3. Linitis plastica type
4. Polypoidal type

Correct answer: 1. Superficial spreading type

Explanation: Ca stomach may be divided into 5 morphological subtypes, that correlates loosely with the natural history and outcome.

Ulcerating Ca
Polypoidal Ca
Superficial spreading Ca


also known as early gastric cancer, superficial ca is confined to mucosa and submucosa.
these cancers have excellent prognosis (-90% 5 year survival rate) after resection

Linitis plastica or Scirrhous Ca

these tumors infiltrate the entire thickness of the stomach and cover a very large surface area, commonly involve the entire stomach. Marked desmoplastic reaction is noted, the stomach loses its pliability.
it has the worst prognosis of all types as spread is early.

Advanced carcinoma

this largest category contains the big tumors that are found partly within and partly outside the stomach. They may originally have qualified for inclusion in one of the preceding groups but have outgrown that early stage.